According to Weigert Meyer rule of duplication of ureter, the lower pole ureter in urinary bladder is:
1. Lateral and cephalad to the upper pole ureter
2. Lateral and caudal to the upper pole ureter
3. Medial and cephalad to the upper pole ureter
4. Medial and caudal to the upper pole ureter

Correct answer: 1. Lateral and cephalad to the upper pole ureter

Explanation: Types Incomplete duplication: Both ureters join together and a single ureteric opening Complete duplication: Both ureters open separately Weigert-Meyer's rule: - In case of complete duplication, the upper ureter and the lower pole ureter rotate on their long axes so that the upper pole ureteric orifice is medial & caudal to the lower pole orifice. - Lower pole is lateral and cephalad to the upper pole